HTV pt with malabsotion, fever, chronic diarrhoea, with acid fast positive organism. What is the causative agent ?
1. Giardia
2. Microsporidia
3. Isospora
4. E. histolytica

Correct answer: 3. Isospora

Explanation: Ans. is 'c' i.e., Isospora Common parasitic infections causing diarrhoea in HIV patientIsospora belliCryptosporidiumMicrosporidiaNow the list of Acid fast parasitesOocyst of CryptosporidiumOocyst of CyclosporaOocyst of IsosporaEggs of Taenia saginataAlso knowOther acid fast organisms BacteriaMycobacteriumNocardiaRhodococcusSmegma bacilliLegionella micdadei OthersBacterial sporesSpermatic head